For shock patient, best guideline to check for adequacy of fluid replacement therapy:
1. Hemoglobin
2. Urine output
3. Blood pressure and pulse
4. Central Venous Pressure

Correct answer: 2. Urine output

Explanation: Ans. B: Urine output Urine output is a good indication of severity of shock. Urine output is affectd quite early even in moderate shock. It is also a good index of adequacy of replacement therapy.